Which of the following drugs reduces the activity of phospholipase A2 ?
1. Alprostadil
2. Aspirin
3. Ibuprofen
4. Prednisolone

Correct answer: 4. Prednisolone